In a preterm baby with respiratory distress syndrome which of the following lipid would be deficient
1. sphingomyelin
2. cardiolipin
3. Dipalmitoyl phosphatidylcholine
4. None of the above

Correct answer: 3. Dipalmitoyl phosphatidylcholine

Explanation: ref : lipincott